All of the following statements about nateglinide are true except?
1. Decreases pot-prandial hyperglycemia
2. Hypoglycemia is less COmmon than with sulfo- nylureas
3. It decreases insulin resistance
4. It acts by releasing insulin

Correct answer: 3. It decreases insulin resistance

Explanation: Nateglinide is a meglitinide analogue. It stimulate the first phase insulin secretion resulting in rapid onset. It does not decrease insulin resistance. It is an oral hypoglycemic drug like sulphonylurea antihyperglycemics like metformin and pioglitazone decrease insulin resistance (REF. Essentials of medical pharmacology K D TRIPATHI 6 Edition, Page No - 269)